In cystic fibrosis, the most common organism which causes early infection is
1. Pseudomonas
2. Staphylococcus
3. Klebsiella
4. Streptococcus

Correct answer: 2. Staphylococcus

Explanation: Cystic fibrosisThe most common organism which causes infection is Staphylococcus.The infection that characterizes cystic fibrosis airways involves the mucus layer rather than epithelial or airway wall invasion.The unique predisposition of cystic fibrosis airways to chronic infection by Staphylococcus aureus and Pseudomonas aeruginosa is consistent with the failure to clear mucus.Both mucus stasis and mucous hypoxia may contribute to the propensity for pseudomonas to grow in biofilm colonies within mucus plaques adherent to airway surfaces.(Refer: Harrison's Principles of Internal Medicine, 18thedition, pg no: 2147-2151)